Constituents of a typical embalming solution are all except:
1. Phenol
2. Glycerine
3. Formalin
4. Ethanol

Correct answer: 4. Ethanol

Explanation: D i.e. Ethanol Formaline & methanol or methyl alcohol (as preservatives), glycerine (wetting agent), phenol (germicide)(2 are essential components of embalming (arterial & cavity) fluids.